Select the false statement among the following?
1. Lipid soluble drugs tend to have higher distribution
2. Volume of distribution is reduced by high plasma protein binding
3. Loading dose is equal to Vd divided by target plasma concentration
4. T1/2 is constant in first order kinetics

Correct answer: 3. Loading dose is equal to Vd divided by target plasma concentration

Explanation: * Lipid soluble drugs (nonpolar) have high volumes of distribution than drugs which are more polar* Volume of distribution may be increased in renal failure & hepatic failure due to fluid retention, altered body fluid. However high plasma protein binding reduces the Vd. Loading dose = volume of distribution x target plasma concentration Maintenance dose = clearance x target plasma concentration T 1/2 is constant in first order kinetics T 1/2 is directly proportional to plasma concentration in zero order kinetics Clearance is indirectly proportional to plasma concentration